Commonest fracture in children:
1. Fracture clavicle
2. Green stick fracture of lower end of radius
3. Supracondylar fracture
4. All of the above

Correct answer: 2. Green stick fracture of lower end of radius

Explanation: Most common fractures overall--clavicle > distal end radius Age wise Most common fracture at birth in neonates--Clavicle> humerus Most common fracture in children--greenstick fracture of forearm bones Most common fractures in elderly--vertebral fracture > distal end radius fractures GREENSTICK FRACTURE OF FOREARM